All the following are structures related to Submandibular Ganglion except
1. Nervus Intermedius
2. Chordatympanic Nerve
3. Lingual Nerve
4. Hypoglossal Nerve

Correct answer: 4. Hypoglossal Nerve

Explanation: SUBMANDIBULAR GANGLIONThis is a parasympathetic peripheral ganglion. It is a relay station for secretomotor fibers to the submandibular and sublingual salivary glands. Topographically, it is related to the lingual nerve, but functionally, it is connected to the chorda tympani branch of the facial nerve (chorda tympani).Roots: The ganglion has sensory, sympathetic and secretomotor roots.Sensory root is from the lingual nerve. It is suspended by two roots of lingual nerve Sympathetic root is from the sympathetic plexus around the facial artery. This plexus contains postganglionic fibers from the superior cervical ganglion of the sympathetic trunk. Secretomotor root is from superior salivatory nucleus through nervus intermedius chorda tympani which is a branch of cranial nerve VII. Chorda tympani joins lingual nerve. The parasympathetic fibers get relayed in the submandibular ganglionBranches: The ganglion gives direct branches to the submandibular salivary gland.Reference: Chaurasia Volume III; 7th edition; Page no: 139